Generally speaking, the distal, burning, painful dysesthesias with reduced pinprick and thermal sensation but with sparing of proprioception and motor functions is seen in -
1. Small fibre neuropathy
2. Large fibre neuropathy
3. Neuromuscular junction disease
4. Anterior horn cell disease

Correct answer: 1. Small fibre neuropathy